Foetal alcohol syndrome comprises of
1. Microcephaly
2. Deafness
3. Short palpebral fissure
4. All of the above

Correct answer: 4. All of the above

Explanation: Features of foetal alcohol syndrome Growth retardation Microcephaly Small palpebral fissure Smooth philtrum Thin upper lip Increased risk of both sensorineural and conductive deafness. Ref: Nelson's , 20th edition, page 2813,. 896